Tumor arising from olfactory nasal mucosa is
1. Nasal glioma
2. Adenoid cystic carcinoma
3. Nasopharyngeal carcinoma
4. Esthesio-neuroblastoma

Correct answer: 4. Esthesio-neuroblastoma

Explanation: Esthesioneuroblastoma is a rare unique tumor of neural crest origin. Presents as a unilateral polypoidal mass in the upper third of the nasal cavity with symptoms of nasal obstruction, epistaxis and anosmia.